Which of these sends K+ inside cells:
1. Insulin
2. Glucagon
3. TSH
4. FSH

Correct answer: 1. Insulin

Explanation: Ans A InsulinRef: Quantitative Human Physiology; An Introduction.pg. 191-92Insulin has two major roles: Sends glucose and potassium both intracellular, thereby decreasing their level (i.e. hypoglycaemia and hypokalemia).